Predominant blood supply to the supraduodenal bile duct is derrived from:
1. Vessels that run upward along the bile duct from the duodenal end of the duct such as the retroduodenal and the gastroduodenal arteries
2. Vessels that run downward along the bile duct from the hepatic end of the duct such as the right hepatic artery
3. Vessels that arise from the hepatic artery proper as it runs up along the common bile duct and supplies it with twigs in a non-axial distribution
4. Vessels that arise from the cystic artery

Correct answer: 1. Vessels that run upward along the bile duct from the duodenal end of the duct such as the retroduodenal and the gastroduodenal arteries

Explanation: A i.e. Vessels that run upward along the bile duct from the duodenal end of the duct such as the retroduodenal and the gastroduodenal arteriesPredominant (60%) blood supply to supraduodenal bile duct is derived from ascending (running upward) branches from retroduodenal branch of gastroduodenal artery. These branches run upwards from caudal (duodenal) end of CBD.